The smaller pellets are called
1. Buck shot
2. Mould shot
3. Bird shot
4. Chilled shot

Correct answer: 3. Bird shot

Explanation: Pellets Pellets are made of lead. Large pellets are called 'buck shot' or 'mould shot' and the catridge contains 9-12 such pellets. The diameter is 6-8 mm. The smaller pellets are called 'bird shot' and the catridge contains 300-400 pellets. Their diameter is 1-3.5 mm. Ref: FORENSIC MEDICINE AND TOXICOLOGY Dr PC IGNATIUS THIRD EDITION PAGE 140